Which of the following does not develop from branchial pouch?
1. Superior parathyroid
2. Inferior parathyroid
3. Thymus
4. Thyroid

Correct answer: 4. Thyroid

Explanation: Ans. D ThyroidRef: I.B. Singh, 9th ed. pg. 116-17* Superior parathyroid is derived from 4th branchial pouch* Inferior parathyroid and thymus develop from 3rd branchial pouch* Most of the thyroid gland develops from thyroglossal duct (endodermal duct at foramen cecum).